true about Giardiasis -
1. Only cyst is infective
2. Reside in ceacum
3. Only man to man transmission
4. Exist in one phases

Correct answer: 1. Only cyst is infective

Explanation: During unfavorable conditions in the duodenum enchantment occurs .usually in the colon .Infection of man occurs by ingestion of cyst in contaminated food and water .Infective dose is 10 to 100 cysts (refer pgno:31 baveja 3 rd edition)